Which can have more than one value?
1. Mean
2. Median
3. Mode
4. Any of the above

Correct answer: 3. Mode

Explanation: MODE: Most frequently occurring value in data distribution. May be multiple. (Bimodal, trimodal, etc) Advantages: Easy to understand, Unaffected by extreme values. Disadvantages : Exact location is uncertain, often not clearly defined. Not used in biological or medical studies.